Treatment of severe ulnar neuritis in borderline tuberculoid leprosy is -
1. MDT only
2. MDT + Steroids
3. Wait and Watch
4. MDT+ thalidomide

Correct answer: 2. MDT + Steroids

Explanation: Severe ulnar neuritis in borderline tberculoid leprosy indicates patient is in type1 leprosy reaction. moderate to severe type 1 reaction, neuritis, impending muscle paralysis, type 1 reaction involving facial lesions drug of choice is corticosteroids along with mbmdt. iadvl textbook of dermatology,page 2089